In colles fracture not seen is:
1. Proximal impaction
2. Lateral rotation
3. Dorsal angulation
4. Medial rotation

Correct answer: 4. Medial rotation

Explanation: D i.e. Medial rotation